Where does posterior perforation of peptic ulcer drain?
1. Omental Bursa
2. Greater sac
3. Foramen of Winslow
4. Paracolic gutter

Correct answer: 1. Omental Bursa

Explanation: Omental Bursa REF: CSDT 11' ed p. 553 An ulcer that perforates in posterior wall of stomach drains into the lesser sac or omental bursa. Most perforated ulcers are located on the anterior wall.